In majority of the cases with otosclerosis the tympanic membrane is:
1. Normal
2. Flamingo-pink
3. Blue
4. Yellow

Correct answer: 1. Normal

Explanation: Ans. is a i.e. Normal